Drug causing decrease in late sodium current -
1. Nicorandil
2. Ranolazine
3. Trimetazidine
4. Molsidominc

Correct answer: 2. Ranolazine

Explanation: Ans. is 'b' i.e., Ranolazine o Ranolazine was initially assigned as partial fatty acid oxidation inhibitors. However, now it is believed that it acts by a different mechanism. It acts by blocking a late sodium current that facilitates calcium NCX (Sodium -Calcium exchanger) -4 Calcium overload and decrease left ventricular wall tension --> decreased myocardial oxygen demand.